Renal transplantation is most commonly done in ?
1. Chr. glomerulonephritis
2. Bilateral staghorn calculus
3. Horse shoe kidney
4. Oxalosis

Correct answer: 1. Chr. glomerulonephritis

Explanation: Answer is 'a' i.e. Chr. Glomerulonephritis Renal transplantation is the preferred treatment for many patients with end stage renal disease (ESRD), because it provides a better quality of life for them than dialysis. The most common causes of ESRD (in decreasing order) are: - Diabetes mellitus - Hypertension - Glomerulonephritis